Putrefaction is delayed in poisoning due to -a) Carbolic acidb) Organophosphoursc) Leadd) Nux vomica
1. b
2. c
3. ad
4. ab

Correct answer: 3. ad